Acneiform eruptions are caused by all of the following except
1. Tetracyclines
2. Corticosteroids
3. I. N. H.
4. Iodides

Correct answer: 1. Tetracyclines

Explanation: Term 'Acneiform' is applied to eruptions that resemble Acne vulgaris. Lesions are papulopustular but comedones are usually absent. Causes: -Adrenocorticotrophic hormone(ACTH), -Corticosteroids, -Dexamethasone in neurosurgical patients, -Anabolic steroids for body-building, -Androgens (in females), -Oral contraceptives, -Iodides and bromides Isoniazid may induce acne, especially in slow inactivators of the drug . Other drugs include dantrolene, danazol, quinidine, lithium and azathioprine.